High risk breast cancer female investigation of choice is ?
1. MRI
2. USG
3. Mammography
4. Clinical examination

Correct answer: 1. MRI

Explanation: .* MRI of breast: - To differentiate scar from recurrence. - To image breasts of women with implants. - To evaluate the management of axilla and recurrent disease. * It is useful in screening females with high risk group. * T1 and T2 weighed images are taken. * Irregular mass with spiculations, changes in skin and nipple, lymphoedema are the findings in carcinoma breast. MRI breast is not accurate if done within 9 months of the radiotherapy in carcinoma of breast. Both precontrast and postcontrast MRI are done. ref:SRB's manual of surgery,ed 3,pg no 479